Middle meningeal artery is direct branch of:
1. External carotid artery
2. Internal maxillary artery
3. Superficial temporal artery
4. Middle cerebral artery

Correct answer: 2. Internal maxillary artery